Features of vernal conjunctivitis are A/E:
1. Shield ulcer
2. Horner-Tranta's spots
3. Pappilary hypertrophy
4. Herbert pits, pannus & follicles

Correct answer: 4. Herbert pits, pannus & follicles

Explanation: D i.e. Herbert pits, pannus & follicles